The phenomenon by which the cancer cells are able to sustain and proliferate under adverse conditions of hypoxia is ?
1. Warburg
2. Wanton
3. Wormian
4. Wolf

Correct answer: 1. Warburg

Explanation: Ans. is 'a' i.e., Warburg Otto Warburg described the bioenergetics and metabolic features that permit cancer cells to survive under adverse conditions such as hypoxia and enable their proliferation, progression, invasiveness, and subsequent distant metastasis. This phenomenon is thus called the growth promoting Warburg phenomenon.